All of the following are seen in ricket's except:
1. Bow legs
2. Gunstock deformity
3. Pot belly
4. Cratio tabes

Correct answer: 2. Gunstock deformity

Explanation: Answer is B (Gunstock deformity): Gunstock deformity is a feature of malunion following supracondylar fracture of humerus or fracture of either condyle. Gunstock deformity is not usually seen with rickets Features of Rickets Growth Retardation Craniotabes (Earliest manifestation of Rickets due to softening of skull bones) Bossing (Bossing of Frontal and Parietal skull bones) Caput Quadratum (Square appearance of head) Rachitic Rosary (Prominent costochondral junctions) Harrison sulcus (Horizontal depression along lower border of chest corresponding to insertion and inward pull of diaphragm) Pigeon Breast (Anterior protrusion of sternum) Deformities of long bones & spine Knock knees Bow eyes - Coxa vera - Lumbar lardosis Broad / Widened physis Irregular metaphyseal margin Cupping of metaphysis